Grossly pigmented liver is seen in .... syndrome
1. Crigler-Najjar
2. Gilberts
3. Dubin johnson
4. Rotor's

Correct answer: 3. Dubin johnson